Hutchisons traid is seen
1. Primary syphilis
2. Congenital syphilis
3. Secondary syphilis
4. Tertiary syphilis

Correct answer: 2. Congenital syphilis

Explanation: * Hutchinson's triad is seen in congenital syphilis. *it includes interstitial keratitis, deafness and Hutchinson's teeth ( central incissors with peg shaped, notched appearance ). Reference : IADVL's concise textbook of dermatology, first edition, pg no: 126